Which of the following is not a characteristic of Fanconi's anemia ?
1. Hematologic abnormalities in infancy
2. Pancytopenia
3. Skeletal anomalies
4. Chromosome fragility

Correct answer: 1. Hematologic abnormalities in infancy

Explanation: FANCONI ANEMIA- Autosomal recessive disorder manifests as congenital developmental anomalies ,progressive pancytopenia ,increased risk of malignancy. Chromosomes are susceptible to DNA cross linking agents Patients have short stature, cafe au lait spots, and anomalies involving thumb radius and genitourinary tract . Ref:Harrison 20 th edition pg no 725